The patch test is read after
1. 2 hours
2. 2 days
3. 2 months
4. 2 weeks

Correct answer: 2. 2 days

Explanation: The patch test is read after 48 to 72 hrs and then again after a week. It is read at 20 mins to see any immediate reaction Ref: Harrison 20th edition pg 1256